Selenium is a cofactor in the following enzyme:
1. Glutathione peroxidase
2. Cytochrome oxidase
3. Cytochrome reductase
4. Xanthine oxidase

Correct answer: 1. Glutathione peroxidase

Explanation: Ans. A. Glutathione peroxidase(Ref: Harper 31/e page 534)SeleniumCofactors for* Glutathione peroxidase* Deiodinase* Thioredoxin reductase* Antioxidant along with vitamin E